The most important physiological factor which maintains CSF pressure is:
1. Rate of CSF formation
2. Rate of CSF absorption
3. Blood flow to the brain
4. Venous pressure

Correct answer: 2. Rate of CSF absorption

Explanation: B i.e. Rate of CSF absorption